Most common cause of widening of C loop of duedenum
1. Pancreatitis
2. Carcinoma head of pancreas
3. Choledochal cyst
4. Retroperitoneal masses

Correct answer: 2. Carcinoma head of pancreas

Explanation: M/c cause - Carcinoma head of pancreas.